All of the following are true about diazoxide except:
1. K+ channel opener
2. Can be used as antiphypertensive agent serve
3. Causes severe hypoglycemia
4. Used in insulinoma

Correct answer: 3. Causes severe hypoglycemia

Explanation: . Ans. c. Causes severe hypoglycemia Diazoxide produces hyperglycemia by decreasing insulin secretion. It is used to treat various forms of hypoglycemia.Diazoxide* Diazoxide is directly acting arteriolar dilator* Causes arteriolar dilatation with little effects on veins.Mechanism of Action:* Diazoxide is potassium channel activator, which causes local relaxation in smooth muscle by increasing membrane permeability to potassium ions. This switches off voltage gated calcium ton channel, which inhibits the generation of action potential.Characteristic Features:* When used as an intravenous anti hypertensive, diazoxide causes excessive hypotension.* Hypotension due to diazoxide has resulted in stroke and myocardial infarction.* Diazoxide produces hyperglycemia by decreasing insulin secretion. It is used to treat various forms of hypoglycemia.* Due to its hyperglycemia action it is a useful drug for patients with chronic hypoglycemia from excess endogenous insulin secretion, either from an islet cell tumor (insulinoma) or islet cell hyperplasia.